Most common agent causing tuberculosis in AIDS patient in tropical countries is -
1. Mycobacterium tuberculosis
2. Mycobacterium intracellulare
3. Mycobacterium parvum
4. Mycobacterium atypical

Correct answer: 1. Mycobacterium tuberculosis